Heat-labile instruments for use in surgical procedures can be best sterilized by -
1. Absolute alcohol
2. Ultraviolet rays
3. Chlorine releasing compounds
4. Ethylene oxide gas

Correct answer: 4. Ethylene oxide gas

Explanation: “Ethylene oxide used mainly by industry for the sterilization of plastic and other thermolabile material that cannot withstand heating" - Greenwood 16th /ep. 74.

Other methods for sterilization of heat labile instruments

- Ionizing radiation
- Formaldehyde in combination with subatmospheric steam.